Extrafiisal fibre innervated by
1. Ia
2. lb
3. Aa
4. Ass

Correct answer: 3. Aa

Explanation: Extrafusal fibers are innervate by A-alfa motor neurons They are myelinated and fast conducting Ref:Guyton and Hall textbook of medical physiology 12th edition,page number:769,770,771